Which of the following substrates can't contribute to net gluconeogenesis in mammalian liver?
1. Alanine
2. Glutamate
3. Palmitate
4. Pyruvate

Correct answer: 3. Palmitate

Explanation: Palmitate can't contribute to net gluconeogenesis in mammalian liver Palmitate Fatty acid with 16 carbon atoms Not a substrate of gluconeogenesis. Even chain fatty acids yield Acetyl CoA upon oxidation. Odd chain fatty acid acts as a substrates of gluconeogenesis Propionyl CoA- the product of their oxidation can enter TCA cycle through formation of succinyl CoA Alanine, pyruvate and glutamate are glucogenic.